Which of the following is not a clinical feature of SLE
1. Malar rash
2. Painful oral ulcers
3. Alopecia
4. Pleuritis

Correct answer: 2. Painful oral ulcers

Explanation: SLE shows painless oral ulcers.